Test for vaginal cells collected for investigation for rape:
1. Lugol's iodine test
2. Acro-reaction test
3. Precipitin test
4. Berberio's test

Correct answer: 1. Lugol's iodine test

Explanation: Ans. Lugol's iodine test